All of the following are Preleukemic conditions, Except:
1. Paroxysmal Nocturnal Haemoglobinuria (PNH)
2. Paroxysmal Cold Haemoglobinuria (PCH)
3. Myelodysplasia
4. Aplastic anemia

Correct answer: 2. Paroxysmal Cold Haemoglobinuria (PCH)

Explanation: Answer is B (Paroxysmal Cold Haemoglobinuria (PCH)) Paroxysmal Cold Hemoglobinuria (PCH) is a benign self-limiting autoimmune hemolytic anemia. PCH does not undergo leukemic transformation and is hence not considered a Preleukemic condition. Recovery is the rule in Paroxysmal Cold Hemoglobinuria. Paroxysmal Nocturnal Haemoglobinuria may be considered a Preleukemic condition PNH may evolve into Aplastic anemia and PNH may manifest itself in patients who previously have Aplastic Anemia. Rarely (estimated 1-2% (Ian cases) PNH may terminate in Acute Myeloid Leukemia'. - Harrison 18th/883 Myelodysplasia (Myelodysplastic Syndrome) is a Preleukemic condition Myelodysplastia is a clonal hematopoietic stem cell disorder leading to impaired cell proliferation and differentiation Cvtogenetic abnormalities are found in approximately one half of patients and some of the same specific lesions are also seen in frank leukemia. The type and number of cytogenetic abnormalities strongly correlate with the probability of leukemic transformation and survival' Aplastic Anemia may be considered a Preleukemic condition `Recent studies have shown that long term survivors of acquired aplastic anemia may be at high risk of subsequent malignant diseases or late clonal hematological diseases often years after successful immunosuppressive therapy. One Hypothesis has postulated that aplastic anemia is a Preleukemic condition'.